High anticholinergic property is present in the following antihistaminic agent
1. Astemizole
2. Diphenhydramine
3. Terfenadine
4. Fexofenadine

Correct answer: 2. Diphenhydramine